All are true about warfarin, except
1. It inhibits the activation of vitamin K dependent cloting factors
2. Its half life is 36 hours
3. It can cross placenta
4. Its dose is increased in liver disease

Correct answer: 4. Its dose is increased in liver disease

Explanation: It's dose should be reduced in liver and renal impairment as it is metabolized by glucoronide conjugation and is excreted by urine. From medical pharmacology padmaja 4th edition Page no 339,341